The non-working condyle moves:
1. Forward, downward and laterally.
2. Forward, downward and medially.
3. Downwards and laterally.
4. Downwards and medially.

Correct answer: 2. Forward, downward and medially.